The time interval between reception of infection and maximum infectivity of the host is know as-
1. Generation time
2. Serial interval
3. Latent period
4. Median incubation period

Correct answer: 1. Generation time

Explanation: .generation time is defined as the time interval between the receipt of infection by a host and maximal infectivity of that host.it is roughly equal to incubation period.but not the same.generation time refers to transmission of infection whether clinical or subclinical. ref:park's textbook,ed 22,pg no 96